Are all true about starting of Beta blocker therapy in patients with congestive heart failure except
1. They should be started with optimum doses
2. They should be gradually increase over a weeks
3. Special classes should be taken in the case of NYHA class 3 and 4
4. Carvedilol and metaprolol are the preferred drugs

Correct answer: 1. They should be started with optimum doses

Explanation: Clinical use of Beta adrenergic receptors antagonists in heart failure These are now recommended for routine use in patient with an ejection fraction <35% and NYHA class 2 and 3 symptoms in conjunction with ACE inhibitors or Angiotensin antagonist receptors and diuretics This should be initiated at very low doses, generally less than one tenth of the final target dose Goodman and Gilman 11e p1336